Mala-N contains
1. Ethinyl estradiol 30 mcg
2. Norgesterol 50 mcg
3. Ethinyl estradiol 50 mcg
4. Progesterone 10 mg

Correct answer: 1. Ethinyl estradiol 30 mcg

Explanation: MALA-N contains levonorgestrel 0.15 mg and ethinyl estradiol 0.03mg MALA-N is supplied free of cost through all PHC's, Urban family welfare centres etc. Reference : Park's textbook of preventive and social medicine, 23rd edition, Page no: 500